Which of the following anti-cancer drug is NOT 's'-phase specific:
1. Methotrexate
2. Mercaptopurine
3. Ifosfamide
4. Thioguanine

Correct answer: 3. Ifosfamide

Explanation: Cytotoxic drugs are either cell cycle specific (CCS) or cell cycle nonspecific (CCNS). (a) Cell cycle nonspecific Kill resting as well as dividing cells, e.g. nitrogen mustard, cyclophosphamide, chlorambucil, carmustine, dacarbazine, busulfan, L-asparaginase, cisplatin, procarbazine, actinomycin D. (b) Cell cycle specific Kill only actively dividing cells. Their toxicity is generally expressed in S phase. However, these drugs may show considerable phase selectivity, e.g.- G1: Vinblastine. S : Mtx, cytarabine, 6-TG, 6-MP, 5-FU, hydroxyurea, mitomycin C, doxorubicin, daunorubicin. G2: Daunorubicin, bleomycin, etoposide, topotecan. M: Vincristine, vinblastine, paclitaxel, docetaxel ESSENTIALS OF MEDICAL PHARMACOLOGY K.D.TRIPATHI SIXTH EDITION PAGE NO:830